Allosteric inhibitors of TCA cycle are all except?
1. ADP
2. ATP
3. NADH
4. Succinly CoA

Correct answer: 1. ADP

Explanation: Regulation of TCA cycle As the primary function of TCA cycle is to provide energy, respiratory control the respiratory chain (ETC) and oxidative phosphorylation regulates citric acid cycle activity. Excess of ATP, NADH and succinyl-CoA which signals high energy status of the cell, inhibit TCA cycle. ADP and NAD+ stimulate the cycle as these signal low energy status. Regulation occurs at three allosteric enzyms by allosteric modulation :- i) Citrate synthase :- It is inhibited by ATP, long-chain acyl-CoA, and succinyl CoA. ii) Isocitrate dehydrogenase :- It is activated by ADP and is inhibited by ATP and NADH. iii) a-ketoglutarate dehydrogenase complex :- It is inhibits by succinyl-CoA and NADH.